Site of action of ketamine is –
1. Spinal cord
2. Local nerve fibers
3. Primary action on thalamoneocortical projection
4. Posterior column

Correct answer: 3. Primary action on thalamoneocortical projection

Explanation: The primary site of CNS action of ketamine seems to be the thalamocortical projection system.